The most common location for a Meckel's diverticulum is the?
1. Proximal jejunum
2. Distal jejunum
3. Proximal ileum
4. Terminal ileum

Correct answer: 4. Terminal ileum

Explanation: The most common location of a Meckel's is the terminal ileum usually located 45-90 cm from the ileocecal valve.The location on the antimesenteric border is normal and is not an indication for surgical resection.